Koebner phenomenon present in which of the following –
1. Plane warts
2. Pemphigus vulgaris
3. Lupus vulgaris
4. Lichen simplex chronicus

Correct answer: 1. Plane warts